Which one of the following bacteria is facultative anaerobe?
1. Pseudomonas
2. Bacteroides
3. Escherichia
4. Clostridia

Correct answer: 3. Escherichia

Explanation: 1. All member of Enterobacteriaceae family are facultative anaerobes. MEMBERS OF ENTEROBACTERIACEAE:- Escherechia,Shigella,Citrobacter,Klebsiella,Enterobacter,Hafnia,Serratia,Salmonella,Proteus,Morganella,Providencia,Yesenia. 2. Pseudomonas - strict aerobe 3. Clostridium and Bacteroids - Anaerobes